According to IMNCI programme, the term young infants include children below which age?
1. 7 days
2. 28 days
3. 2 months
4. 6 months

Correct answer: 3. 2 months

Explanation: The Indian version of IMCI has been renamed as Integrated management of neonatal and childhood illness . It is the central pillar of child health interventions under the RCH II strategy. The major highlights of Indian adaption areThe inclusion of 0-7 days of age in the programmeIncorporating national guidelines on malaria, anaemia, vitamin A supplementation and immunization scheduleTraining of health personnel begins with sick young infants up to 2monthsThe proportion of training time devoted to sick young infant and a sick child is almost equalIs skill basedRef: Park; 23rd ed; Pg 460